Percentage of Xylocaine used in spinal anesthesia-
1. 1%
2. 2%
3. 4%
4. 5%

Correct answer: 4. 5%